Features of vernal keratoconjunctivitis are:
1. Papillary hypertrophy
2. Shield's ulcer
3. Trantra's spot
4. All

Correct answer: 4. All

Explanation: Ans. A, B and C